A 32 year old female with a history of 2 mid-trimester abortions, comes now with 32 weeks of pregnancy and labour pains with Os dilated 2 cm. All are done, except:
1. Immediate circlage
2. Betamethasone
3. Antibiotics
4. Tocolytics

Correct answer: 1. Immediate circlage

Explanation: A cerclage is best done between 12 to 24 weeks ( American Guidelines). In India we do cerclage even up till 28 weeks since fetus is said to be viable after 28 weeks in India still. If a patient is 32 weeks and already in labour, performing a cerclage is not of much benefit since viability of the fetus is already achieved . Management protocol here will include steroids to make sure that the newborn does not get Respiratory distress of Newborn. Any cervical handling will only increase the local prostaglandins which will further increase the preterm labour contractions.